Treatment modality NOT used in ADHD includes
1. Clonidine
2. Atomoxetine
3. Dexamphetamine
4. Haloperidol

Correct answer: 4. Haloperidol

Explanation: (D) Haloperidol # Stimulant medication Dextroamphetamine (10-40 mg/day) and methylphenidate (10-60 mg/day) are the drugs of choice in the treatment of hyperkinetic disorder, with a response rate of nearly 90%. They act on the reticular activating system causing stimulation of the inhibitory influences on the cerebral cortex, thus decreasing hyperactivity and/or distractibility> Others:1. When stimulant medication is not available is not effective, other drugs can be used after careful individual consideration of the risks and benefits in the individual patient. These include clonidine, imipramine, bupropion, venlafaxine chlorpromazine, thioridazine, and lithium carbonate. Atomoxetine may be an alternative for children who do not respond to stimulants. Barbiturates are contmindicated in ADD as they increase hyperactivity.2. Behavior modification3. Counseling and supportive psychotherapy Behavior modification and counseling are very important in the successful management of ADD and can be used along with drug therapy.